Voyeurism is also known as-
1. Scopophilia
2. Priapism
3. Frotteurism
4. Onanism

Correct answer: 1. Scopophilia

Explanation: Voyeurism = scotophilia= peeping torn: sexual gratification is obtained by looking at the sexual organs of other persons, watching the act of sexual intercourse, or witnessing undressing by a women.